Structure not passing through carpal tunnel ?
1. Ulnar nerve
2. Median nerve
3. Tendons of FDP
4. Tendons of FDS

Correct answer: 1. Ulnar nerve

Explanation: Ans. is 'A' i.e., Ulnar nerve Ten structures pass through the carpal tunnel, most of them flexor tendons(not the muscles themselves): flexor digitorum profundus (four tendons) flexor digitorum superficialis (four tendons) flexor pollicis longus (one tendon) Median nerve between tendons of flexor digitorum profundus and flexor digitorum superficialis